Which of the following is the most abundant glycoprotein present in basement membrane?
1. Laminin
2. Fibronectin
3. Collagen type 4
4. Heparan sulphate

Correct answer: 1. Laminin

Explanation: Laminin is a large extracellular glycoprotein found in basal membrane. It is the most abundant glycoprotein in basement membrane. It is typically cross shaped, formed by 3 disulphide bonded polypeptides. It binds to collagen (type IV), heparin sulphate and enactin. Ref: Robbins Pathologic Basis of Disease 6th Edition, Page 98, 100 ; Heparin and Heparan Sulfate Edited by Hari G. Gar, Page 700